All are true about Celiac disease except
1. Diarrhea, Malabsorption, iron deficiency anaemia
2. Gluten sensitive
3. Express HLA DQ2, DQ8
4. Biopsy specific

Correct answer: 4. Biopsy specific

Explanation: It is Biopsy non-specific because tropical sprue also has same findings.